Which of the following is not a phase I reaction -
1. Oxidation
2. Reduction
3. Hydrolysis
4. Conjugation

Correct answer: 4. Conjugation

Explanation: Phase I reactions →  Oxidation (including hydroxylation), reduction, hydrolysis, cyclization and decyclization.
Phase II reactions → Conjugation reaction (glucuronidation, sulfation, acetylation, methylation, conjugation with glutathione, aminoacid conjugation).